A person is said to killed by road traffic accident if he dies within how many days of accident -
1. 12 days
2. 30 days
3. 40 days
4. 47 days

Correct answer: 2. 30 days

Explanation: Ans. is 'b' i.e., 30 days * In many countries, the police are legally obliged to go to the scene of a crash where there is at least one injured person and one moving vahicle (motorized or not) involved. The police are then responsible for collecting information on the number of casualties, assessing the severity of injuries, and the overall severity of the crash. In most countries, the police define the following levels of injury severity :# Fatalities : when someone die within 30 days after a traffic crash.# Injured persons, usually split in two categories :* Seriously injured.* Slightly injured.